Most common cause of cushings syndrome is
1. Pituitary adenoma
2. Adrenal adenoma
3. Ectopic ACTH
4. Iatrogenic steroids

Correct answer: 4. Iatrogenic steroids

Explanation: Most common cause of Cushing's syndrome is prolonged administration of glucocorticoid harmones.